The indication for ECT is -
1. Delirium tremens
2. Alcohol withdrawal
3. Severe depression
4. Thyrotoxic crisis

Correct answer: 3. Severe depression